Which one of the following antipsychotic drugs is considered the best in treatment of Resistant Schizophrenia?
1. Olanzapine
2. Clozapine
3. Resperidone
4. Chlorpromazine

Correct answer: 2. Clozapine

Explanation: (B) Clozapine # Clozapine appears to be most effective of atypical members.> Its main side effects are: Agranulocytosis, Seizures, Hyperthermia> Its side effects profile make it appropriate for treatment of resistant cases.# Olanzapine Is chemically similar to clozapine but of leaves efficacy and causes rapid wt gain.> Risperidone - benzisoxazole: It is 5HT, D2 and a-2 antagonist Its a-2 antagonism contribute to its ability to improve mood and increase motor activity> Chlorpromazine - Its is typical antipsychotic anticholinergic highly sedative> Clozapine appears to be the most effective member of this class and has demonstrated superiority to other atypical agents in preventing suicide;however, its side-effect profile makes it most appropriate for treatment resistant cases Olanzapine is similar neurochemically to clozapine but has a significant risk of inducing weight gain.> Risperidone, a benzisoxazole derivative, is more potent at 5HT2 than D2 receptor sites, like clozapine, but it also exerts significant antagonism, a property that may contribute to its perceived ability to improve mood and increase motor activity.> Risperidone is not as effective as clozapine in treatment resistant cases but does not carry a risk of blood dyscrasias. chlorpromazine and thioridazine, are more sedating and anticholinergic and more likely to cause orthostatic hypotension.